Neutral amino acid is ?
1. Aspartate
2. Arginine
3. Glycine
4. Histidine

Correct answer: 3. Glycine

Explanation: Ans. is 'c' i.e., Glycine Neutral amino acids Alanine Asparging Cysteine Glycine Glutamine Isoleucine Leucine Methionine Proline Phenylalanine Serine Threonine Tyrosine Tryptophan Valine